A patient presents with bleeding from the ear, pain tinnitus and progressive deafness. On examination, there is a red swelling behind the intact tympanic membrane which blanches on pressure with pneumatic speculum. Management includes all except:
1. Radiotherapy
2. Surgery
3. Interferons
4. Pre-operative embolisation

Correct answer: 3. Interferons

Explanation: With the symptoms provided, diagnosis is glomus tumour behind the intact tympanic membrane. It has presented with a reddish mass with profuse bleeding depending on the extent of disease and age of the patient. All other options are true.